Which one has least mineralocorticoid activity?
1. Cortisol
2. Prednisolone
3. Fludrocortisone
4. Methyl prednisolone

Correct answer: 4. Methyl prednisolone

Explanation: Cortisol (Hydrocortisone) has primary glucocorticoid action and has significant mineralocorticoid activity. Prednisolone has glucocorticoid activity but at high doses fluid retention does occur. Fludrocortisone is a potent mineralocorticoid having very less glucocorticoid activity. Methylprednisolone is more selective glucocorticoid with very less mineralocorticoid activity (REF.Essential of medical pharmacology K D TRIPATHI 6 Edition - Page No - 281)